Normal QT interval is (in seconds)
1. 0.12 - 0.20
2. 0.40 - 0.43
3. 0.08 - 0.10
4. None

Correct answer: 2. 0.40 - 0.43

Explanation: QT interval 0.40 to 0.43Ref: Ganong's Review of Medical Physiology Twenty-Third Edition Page No:494